Highly vestibulotoxic drug is :
1. Cisplatin
2. Streptomycin
3. Dihydrostreptomycin
4. Quinine

Correct answer: 2. Streptomycin